"Lakes of pus or sheets of pus" is seen in
1. Erythrodermic psoriasis
2. Von zumbush type
3. Guttate psoriasis
4. Inverse psoriasis

Correct answer: 2. Von zumbush type

Explanation: Von zumbush type is the generalized form of pustular psoriasis which shows "Lakes of pus or sheets of pus"